ST elevation is seen in all of the following conditions except
1. Myocardial infraction
2. Coronary artery spasm
3. Constrictive pericarditis
4. Ventricular aneurysm

Correct answer: 3. Constrictive pericarditis

Explanation: Ischemia/myocardial infarction Noninfarction, transmural ischemia (Prinzmetal's angina, and probably Tako-tsubo syndrome, which may also exactly simulate classical acute infarction) Acute myocardial infarction Postmyocardial infarction (ventricular aneurysm pattern) Acute pericarditis Normal variants (including benign "early repolarization" patterns) Left ventricular hypertrophy/left bundle branch blocka Other (rarer) Acute pulmonary embolisma Ref Harrison 20th edition pg 1546